Fear of strangers -
1. Algophobia
2. Xenophobia
3. Mysophobia
4. Thanatophobia

Correct answer: 2. Xenophobia

Explanation: Ans. is'b'i.e., XenophobiaFear of stangers is xenophobia